Association of cause and effect testing in different stting by different methods to assess
1. Coherence
2. Specificity
3. Consistency
4. Strength

Correct answer: 3. Consistency

Explanation: Ans. is 'c' i.e., Consistency Consistency of association The association is consistent if the results are replicated when studies in different settings and by different methods. For example, different studies in different settings have proved smoking as one of the cause for lung cancer - Smoking has consistent association with lung cancer.